Which one of the following is the preferred route for performing cerebral angiography:
1. Transfemoral route
2. Transbrachial route
3. Transradial route
4. Transaxillary route

Correct answer: 1. Transfemoral route

Explanation: Ans. A: Transfemoral Route Transfemoral route is the preferred route for cerebral angiography.